In case of Contrecoup injury, there will be
1. Injury to opposite side
2. Injury to same side
3. Injury to both sides
4. None

Correct answer: 1. Injury to opposite side

Explanation: Ans) a (Injury to opposite side) Ref: KNS Reddy 29th ed p226Coup means that the injury is located beneath the area of impact and results directly by the impacting force.Contrecoup means that the lesion is present in an area opposite the side of impact. They are chiefly due to local distortion of skull and sudden rotation of the head resulting from blow, which cause shear strain due to the pulling apart of the constituent particles of brain.These type of injuries are caused when the moving head is suddenly de-celerated by hitting a firm surface eg stinking of head on the ground during a fall. Subdural and subarachnoid hemorrage can occur due to these type of injury.A line drawn between the centres of coup and contrecoup indicates the direction of impact relative to head.They are not seen if the head is well fixed and cannot be rotated.